What is Felanga?
1. Torture method of slapping over ears
2. Suspension by ankles
3. Tying plastic bag and cause suffocation
4. Beating over the soles

Correct answer: 4. Beating over the soles

Explanation: Felanga is a method of torture in which rods or sticks are used to beat on foot.